Which one of the following medical disorders leads to delayed foetal lung maturity -
1. Heart disease
2. Diabetes
3. Thalassemia minor
4. Epilepsy

Correct answer: 2. Diabetes

Explanation: Ans. is 'b' i.e., Diabetes orT Maternal diabetes predisposes to HMD.